Graft for myringoplasty is taken from
1. Temporalis fascia
2. Iliacus fascia
3. Colles fascia
4. Iliotibial band

Correct answer: 1. Temporalis fascia

Explanation: Graft material used for myringoplasty are:Temporalis fascia (most common)Tragal cailagePerichondrium from the tragusVeinRef: PL Dhingra, Diseases of Ear, Nose & Throat, 7th edition, pg no. 463